A 29-year-old G3P2 woman at 34 weeks' gestation is involved in a serious car accident in which she lost consciousness briefly. In the emergency department she is awake and alert and complains of a severe headache and intense abdominal and pelvic pain. Her blood pressure is 150/90 mm Hg, heart rate is 120/min, temperature is 37.4&;&;C (99.3F), and respiratory rate is 22/min. Fetal heart rate is 155/min. Physical examination reveals several minor bruises on her abdomen and limbs, and vaginal inspection receals blood in the voult. Strong, frequint uterine contraction are palpable. Which of the following is most likely a complication of this pts present condition.
1. DIC
2. lUGR
3. Subarachnoid hemorrhage
4. Vasa previa

Correct answer: 1. DIC

Explanation: Trauma is a risk factor for APH High BP is risk factor for abruptio On vaginal inspection bleeding is present along with strong uterine so the diagnosis of abruptio is confirmed DIC is due to release of thromboplastin by damaged placenta is a well known complication of abruptio Ref: Dutta Obs 9e pg 243.